Tardive dyskinesia is produced by following except:
1. Fluphenazine
2. Haloperidol
3. Chlorpromazine
4. Clozapine

Correct answer: 4. Clozapine

Explanation: D i.e. ClozapineSide effects of clozapine include agranulocytosis, myocarditis, seizures, increased mortality in elederly patients with dementia related psychosisQ (mostly because cardiovascular or infectious cause), severe cardiovascular and respiratory events (eg severe episodes of orthostatic hypotension, syncopeQ, cardiac or respiratory arrest; more likely to occur early in treatment when the dose is being increased especially when combined with benzodiazepines). Other adverse events include sialorrhea (hypersalivationQ; b/o decrease swallowing in night), anticholinergic S/E (dry mouth, blurred vision, constipation, urinary retention, and constipation), weight again, type 2 diabetes mellitus, liver function disturbance and very low incidence of extrapyramidal side effects & neuroleptic malignant syndrome.- Clozapine has strong potency (affinity) for 134 and weak potency (affinity) for D2 receptorsQ. It should not be combined with carbamazepine b/o combined bone marrow syppression (Vt agranulocytosis) and carbamazepine induced metabolism of clozapine (resulting in decreased plasma concentration)Q.- Therapeutic range of plasma concentration is 200-400 ng/mL; however, the correlation between plasma concentration & clinical improvement or side effects are week, but studis indicate patients are more likely to respond when their clozapine concentrations are > 350 ng/mLQ. WBC count 23500 cellVmm3 and absolute neutrophil count (ANC) or granulocyte count 22000 cells/mm3 is required for initiating and continuing clozapine therapyQ.